Where is a missed IUCD most commonly found :
1. Inside the uterus
2. In the adominal cavity outside the uterus
3. Both are equally commonly encountered
4. None is a common site

Correct answer: 1. Inside the uterus

Explanation: Inside the uterus